Features of competitive inhibition is/are:
1. Vmax increases
2. Km increases
3. Vmax decreases
4. Km decreases

Correct answer: 2. Km increases

Explanation: Competitive inhibition:
This type of inhibition occurs when the inhibitor binds reversibly to the same site that the substrate would normally occupy and, therefore, competes with the substrate for that site.
Effect on Vmax: The effect of a competitive inhibitor is reversed by increasing the concentration of substrate. At a sufficiently high , the reaction velocity reaches the Vmax observed in the absence of inhibitor, that is, Vmax is unchanged.
Effect on Km: A competitive inhibitor increases the apparent Km for a given substrate. This means that, in the presence of a competitive inhibitor, more substrate is needed to achieve one half Vmax.
Key Concept:

In Competitive Inhibition
Vmax remains constant
Km increases

Ref :Lippincott’s illustrated reviews for biochemistry , 7th edition.